True about congenital Rubella syndrome :-
1. Blueberry muffin rash is seen
2. Virus can be isolated only upto 6 months after birth
3. Triad of CRS are cataract, cardiac defects,limb defects
4. Infection is most serious after five months of pregnancy

Correct answer: 1. Blueberry muffin rash is seen

Explanation: CLASSICAL TRIAD OF RUBELLA Cataract Cardiac abnormalities Deafness Other manifestations- Growth retardation, rash, hepatosplenomegaly, jaundice, meningoencephalitis, intellectual disability Infection is severe in 1st few months,so option 4 is ruled out.